The commonest site of thrombosis is:
1. Arteries
2. Veins
3. Capillaries
4. Heart

Correct answer: 2. Veins